Pseudo-hemoptysis is seen mostly with
1. Streptococcus
2. E. coli
3. Serratia Marcescens
4. R.S.V

Correct answer: 3. Serratia Marcescens

Explanation: Ans. is 'c' i.e., Serratia Marcesens